Most common site of intracranial hemorrhage in hepertensive hemorrhage is :
1. Basal ganglia
2. Brainstem
3. Cerebellum
4. Hippocampus

Correct answer: 1. Basal ganglia

Explanation: Ans. is 'a' i.e. Basal ganglia The most common sites of hypertensive Haemorrhage are:The basal ganglia (putamen, thalamus and adjacent deep white matter)Deep cerebellumPons